A useful though temporary improvement in a patient's ischaemic foot can be attained by giving intravenously
1. 10% Mannitol
2. 10% Dextrose
3. Dextran 40
4. Dextran 100

Correct answer: 3. Dextran 40